Oliguric phase of renal failure, all are TRUE, EXCEPT:
1. Hypercalcemia
2. Hyponatremia
3. Anaemia
4. Hyperkalemia

Correct answer: 1. Hypercalcemia

Explanation: Answer is A (Hypercalcemia): The oliguric phase of acute renal failure is associated with hypocalcemia and not hypercalcemia The oliguric phase (maintenance phase) of acute renal failure is associated with uretnic and electrolyte complications. Metastatic deposition of calcium phosphate leads to hypocalcemia. Other factors that lead to hypocalcemia include tissue resistance to the actions of parathyroid hormone and reduced levels of vitamin D.